Which of the following is second generation 3 blocker?
1. Propronolol
2. Timolol
3. Nodalol
4. Atenolol

Correct answer: 4. Atenolol

Explanation: Ans. is 'd' i.e., Atenolol